Enzyme inhibited by insulin is
1. Glucokinase
2. PFK-1
3. Glycogen phosphorylase
4. Glycogen synthase

Correct answer: 3. Glycogen phosphorylase

Explanation: 3. Hypoglycemic Effect of INSULINE - i. Insulin lowers the blood glucose level by promoting utilization and storage. ii. Gluconeogenesis is inhibited by insulin by repressing the key enzymes, pyruvate carboxylase (PC) phosphoenol pyruvate carboxykinase (PEPCK) and glucose-6- phosphatase. iii. Insulin inhibits glycogenolysis by favoring the inactivation of glycogen phosphorylase and inhibiting glucose-6-phosphatase. The net effect of all these three mechanisms, blood glucose level is lowered. REF: DM VASUDEVAN TEXTBOOK OF BIOCHEMISTRY, EIGHTH EDITION,PG.NO.,167.